Esophageal carcinoma is NOT predisposed by?
1. Achalasia
2. Scleroderma
3. Corrosive Intake
4. Barrett's esophagus

Correct answer: 2. Scleroderma

Explanation: Scleroderma is not a predisposing factor for carcinoma esophagus. Predisposing factors for carcinoma esophagus: For adenocarcinoma: Chronic gastric reflux (Barrett's esophagus) For squamous cell carcinoma: Alcohol Cigarette Mucosal damage from physical agents: long term ingestion of hot liquids, lye (caustic ingestion), radiation induced strictures and chronic achalasia Other ingested carcinogens: Nitrates, nitrites, nitrosamines, smoked opiates and fungal toxins in packed vegetables. Plummer-Vinson-paterson-kelly syndrome (esophageal web + glossitis + Iron deficiency) Tylosis palmaris et plantaris (congenital hyperkeratosis and pitting of palms and soles) Human papillomavirus Bulimia (repeated microtrauma due to vomiting, may contribute to the malignant transformation of the esophageal tissue) Esophageal diverticula Ref: Harrison 17/e, Page 570 ; Schwartz 9/e, Page 862 ; Sabiston 18/e, Page 1091